Which of the following is only vascular disease with panarteritis where internal elastic lamina is preserved
1. Buerger's disease
2. Takayasu arteritis
3. Raynaud's disease
4. Churg Strauss syndrome

Correct answer: 1. Buerger's disease

Explanation: Buerger's disease is only panarteritis where internal elastic lamina is preserved.